Which of the following causes the majority of UTIs in hospitalized patients?
1. Lack of fluid intake
2. Inadequate perineal care
3. Invasive procedures
4. Immunosuppression

Correct answer: 3. Invasive procedures

Explanation: Invasive procedures such as catheterization can introduce bacteria into the urinary tract.
A lack of fluid intake could cause the concentration of urine, but wouldn’t necessarily cause infection.